The following name is associated with psychodynamic theory
1. Carl Jung
2. Sigmund Freud
3. Emil Kraeplin
4. Eugen Bleuler

Correct answer: 2. Sigmund Freud

Explanation: Contributor: Freud, Sigmund (1856-1939) Coined the Term: Free association, Psychoanalysis, Psychodynamics, Oedipus complex, Electra complex, Penis envy, Primal scene, Ego defence mechanisms, Repression, Psychological determinism, Pleasure principle, Reality principle Special Mention: Founder of psychoanalysis; some of the significant contributions include interpretation of dreams, theory of infantile sexuality, structural and topographical model of mind, theory of instincts, psychopathology of everyday life and stages of psychosexual development Ref: A Short Textbook of Psychiatry, Niraj Ahuja, 7th Edition, pg. no.243.